Cellular adaptation is maintained even after liver is partially resected is known as:(6-R)
1. Hyperplasia
2. Hypertrophy
3. Metaplasia
4. Dysplasia

Correct answer: 1. Hyperplasia

Explanation: (Hyperplasia): Ref: 6-R (4- Basic pathology 8th)HYPERPLASIA(Hyperplasia is an increase in the number of cells in an organ or tissue, usually resulting in increased volume of the organ or tissue)|||Physiologic HyperplasiaPathologic Hyperplasia1. Hormonal HyperplasiaEg. (i) Breast at puberty and during pregnancy(ii) Pregnant uterus2. Compensatory hyperplasiaEg. (i) Partial hepatectomy(ii) Partial nephrectomyEg: 1. Endometrial hyperplasia2. Benign prostatic hyperplasiaHypertrophy refers to an increase in the size of cells, resulting in an increase in the size of the organ.